Which fungicide is used as a spray for the control of bagassosis –
1. 2% acetic acid
2. 2% formic acid
3. 2% propionic acid
4. 25% phenyl mercury

Correct answer: 3. 2% propionic acid

Explanation: Preventive measures for bagassosis

Dust control → Wet process, enclosed apparatus, exhaust ventilation.
Personal protection → Protective equipment (mask or respirators with mechanical filters).
Medical control  → Pre-placement examination and periodic medical check-up.
Bagasse control → Keeping moisture above 20% and spraying the bagasse with 2% propionic acid, a widely used fungicide.